E-CADHARIN mutation is seen inwhich type in the classification of gastric carcinoma ?
1. borrmann -ulcerative type
2. laurens diffuse type
3. borrmann ulceroproliferative type
4. intestinal type

Correct answer: 2. laurens diffuse type

Explanation: ref : bailey and love 27th ed